Defect seen in Hailey Hailey disease?
1. ATP2A2
2. ATP2C1
3. ATP7A
4. ATP7B

Correct answer: 2. ATP2C1

Explanation: Hailey-hailey disease / Benign familial pemphigus Occurs due to defect in gene: ATP2C1 gene which codes for: SERCA (Sarco Endoplasmic reticulase Ca2+ ATPase). Therefore, in this disease Ca2+ ATPase is defective. Ca2+ required for attachment of two desmosomes. ATP7A mutation causes Menke's disease. ATP7B mutation - Wilson's disease ATP2A2 mutation - Darier's disease.